If the renal plasma flow (RPF) is 600 mL/min, and the hematocrit (hct) is 45%, what is the renal blood flow?
1. 1000 mL
2. 1090 mL
3. 1200 mL
4. 1250 mL

Correct answer: 2. 1090 mL

Explanation: (RBF) = RPF X (Putting the values into the equation) RBF = 1090 mL.